Most common inherited thrombotic disorder is :
1. Protein C deficiency
2. Protein S deficiency
3. Factor V leiden mutation
4. Prothrombin gene mutation

Correct answer: 3. Factor V leiden mutation

Explanation: Answer is C (Factor V Leiden Mutation) Factor V Leiden mutation is the most common inherited thrombotic disorder Most common genetic cause for thrombophilia Factor V Leiden Most common congenital cause of venous thrombosis Factor V Leiden Most common hereditary blood coagulation disorder Factor V leiden